Type D personality has been recently found to be a risk factor for -
1. Coronary artery disease
2. Depression
3. Personality disorder
4. Schizophrenia

Correct answer: 1. Coronary artery disease

Explanation: Type C personality → Increased risk of cancer
Type D personality → Increased risk of Cardiovascular problems:- increased mortality, MI, Sudden Cardiac death.